Which of the following is not a ketone body
1. Acetone
2. Acetic acid
3. Acetoacetate
4. Beta-hydroxybutyric acid

Correct answer: 2. Acetic acid

Explanation: Ketone bodies are three water - soluble molecules (acetoacetate, beta-hydroxybutyrate, and their spontaneous breakdown product, acetone) that are produced by the liver from fatty acids. Acetoacetic acid is a ketone body, but acetic acid is not. Note that acetic acid is hydrophobic while acetoacetate is water-soluble.